A 42 yearold female has palpable purpura with rash over buttocks, pain in abdomen, and arthropathy diagnosis is -
1. Sweet syndrome
2. HSP
3. Purpura fulminans
4. Meningococcernia

Correct answer: 2. HSP

Explanation: HSP a small vessel vasculitis is commonly seen in young males characterized by palpable purpura of dependent areas. It is associated with arthritis, gut vasculitis and glomerulonephritis. Page 309. Reference IADVL's concise textbook of dermatology